Which of the following impression material is rigid?
1. Zinc oxide-eugenol
2. Reversible hydrocolloid
3. Alginate
4. Polysulphide rubber

Correct answer: 1. Zinc oxide-eugenol

Explanation: Key Concept: ZnO Eugenol impression paste is rigid (inelastic) impression material.